The commonest thyroid malignancy is
1. Anaplastic
2. Follicular
3. Papillary
4. Medullary

Correct answer: 3. Papillary